In dry drowning:
1. Death occurs in few days of submersion episode
2. Death occurs due to sudden immersion in cold water
3. Water does not enter lungs because of laryngeal spasm
4. Seen in alcoholics due to drowning in shallow pool

Correct answer: 3. Water does not enter lungs because of laryngeal spasm

Explanation: Ans. Water does not enter lungs because of laryngeal spasm